Stroke volume is increased by -
1. Increased end-diastolic and end-systolic volumes
2. Decreased end-diastolic and end-systolic volumes
3. Increased end-diastolic volume and decreased end-systolic volume
4. Decrased end-diastolic volume and increased end- systolic volume

Correct answer: 3. Increased end-diastolic volume and decreased end-systolic volume

Explanation: Ans. is 'c' i.e., Increased end-diastolic volume and decreased end-systolic volume o The stroke volume is the amount of blood pumped out by left ventricle in each stroke.o Stroke volume is given by the difference between end-diastolic ventricular volume (the volume of blood in the left ventricle at the end of diastole; normal 120 ml) and end-systolic ventricular volume (the volume of blood at the end of systole; normal 50 ml).Stroke volume (70 ml) = End-diastolic ventricular volume (120 ml) - End-svstolic ventricular volume (50 ml)